Alpha feto protein is a marker of
1. Yolk sac carcinoma
2. Embryonic cell
3. Dysgerminoma
4. Choriocarcinoma

Correct answer: 1. Yolk sac carcinoma

Explanation: (Yolk sac carcinoma): (999-CSTD 13th edition; 424-Shaw's 15th)MARKERS1. Endodermal sinus (Yolk sac) tumour* Alpha-fetoprotein and alpha-1 antitrypsin2. Choriocarcinoma - hCG3. Embryonal cell carcinoma - AFP & hCG4. Dysgerminoma and pure germinomas do not secrete these markers but secretes lactose dehydrogenase